Alzheimers disease, true is all except -
1. Anterograde amnesia
2. Dysdiadochokinesia
3. Receptive aphasia
4. Recognition of familiar faces is absent

Correct answer: 2. Dysdiadochokinesia